The following is true about nasolacrimal duct
1. Directed downward, forward, and medially
2. Directed downward, backward and laterally
3. Drains in posterior part of inferior meatus
4. 18 cm in length

Correct answer: 2. Directed downward, backward and laterally

Explanation: Ref BDC volume 3,6th edition pg 76 It begins at the lower end of the lacrimal sac, runs downwards, backwards and laterally, and opens into the inferior meatus of the nose. Nasolacrimal duct is a membranous passage 18mm long. Notes: A fold of mucous membrane called valve of Hasner forms an imperfect valve at the lower end of the duct.